The function of g DNA Polymerase
1. DNA repair
2. Mitochondrial DNA synthesis
3. Processive, leading strand synthesis
4. Primase

Correct answer: 2. Mitochondrial DNA synthesis

Explanation: Ref: Harper's Biochemistry; 30th edition; Chapter 35; DNA Organization, Replication, & Repair